Salt and pepper effect in MRI of salivary gland is seen in:
1. Sjogren syndrome
2. Thalassemia
3. Sickle cell anemia
4. Condensing osteitis

Correct answer: 1. Sjogren syndrome

Explanation: A “salt and pepper” appearance of the glands on MRI is particularly suggestive of Sjogren syndrome.
Burket’s Oral medicine , diagnosis and treatment, pg-427